Investigation of choice in stress fracture
1. MRI
2. CT
3. Bone scan
4. X ray

Correct answer: 1. MRI

Explanation: Now conventional wisdom and also all the elderly examiners will spontaneously opt for Bone scan as the answer. However, a careful review of literature preferentially indicates MRI to be a much better modality - highly sensitive as well as specific - for diagnosis of stress fractures. Go with MRI.